Axon hillock is a part of
1. Cell body
2. Axon
3. Dendrites
4. All

Correct answer: 1. Cell body

Explanation: Though the name is axon hillock ,it is a part of cell body It marks the beginning of axon Ref:Guyton and Hall textbook of medical physiology 12th edition,page number:676